Which important component of cell wall has carbohydrate moiety:
1. Phosphoglyceride
2. Triacylglycerol
3. Sphingomyelin
4. GM2 Gangliosides

Correct answer: 4. GM2 Gangliosides

Explanation: D i.e. GM2 GangliosidesGlycolipids are widely distributed particularly in nervous tissue as brain. They occur particularly in outer plasma membrane where they contribute to cell surface carbohydrateQ